The daily production of hydrogen ions from CO2 is primarily buffered by which of the following?
1. Extracellular bicarbonate
2. Red blood cell bicarbonate
3. Red blood cell hemoglobin
4. Plasma proteins

Correct answer: 3. Red blood cell hemoglobin

Explanation: Aerobic metabolism produces 13,000 to 24,000 mmol CO2 per day. This yields close to that amount of H+ ions produced per day the reaction: CO2 + H2O - H2CO3 - H+ + HCO3-At the tissues, CO2 diffuses into the red blood cells, where the enzyme carbonic anhydrase accelerates the above reaction.The H+ produced is buffered mainly by a large amount of hemoglobin in the red blood cells.Bicarbonate is not an effective buffer of volatile acid (from CO2).